All of the following are true about pulsus parvus EXCEPT
1. Seen in aortic stenosis
2. Decreased left ventricular output
3. Decreased peripheral resistance
4. Decreased pulse pressure

Correct answer: 3. Decreased peripheral resistance

Explanation: (C) Decreased peripheral resistance ABNORMAL PULSES# Collapsing or Bounding Pulse:# Pulsus celer or water hammer or Corrigan pulse Aortic incompetence PDA and VSD Complete heart block High cardiac output states Hyperkinetic circulation Marked vasodilatation> Anacrotic Pulse: Aortic stenosis> Plateau Pulse: Aortic stenosis> Pulsus Bisferiens: Double systolic pulsation Severe AR with mild As Pure AR Idiopathic hypertrophic sub AS> Dicrotic Pulse: Debilitating fevers Dehydration Advanced myocardial failure Cardiac tamponade Following open heart surgery> Pulses Parvus: Small volume. Weak upstroke due to decreased stroke volume. Physiological -- Vasoconstriction from cold or anxiety Partial occlusion of vessel Coarctation of aorta AS or MS Severe hypotension (Hypovolemia) Myocardial infarction P. S. (severe grade) Severe pulmonary hypertension> Pulsus Parvus et Tardus: Severe AS> Pulsus alternans : Regular alteration in pressure amplitude LVF, Cardiac arrhythmias Toxic myocarditis> Pulsus Bigem in us: Coupling. Alternate premature beat AV block Digitalis toxicity Sinoatrial block with ventricular escape> Pulsus Paradoxus: Exaggerated inspiratory fall in systolic BP Cardiac causes: Constrictive pericarditis, Cardiac tamponade, Acute LVF Respiratory causes: Obstructive lung disease, Tracheal obstruction, Asthma, Emphysema Others; SVC obstruction, Obesity, Hypovolaemic shock Unilateral pulsus paradoxus is due to compression of one anomalous subclavian artery. Reversed pulsus paradoxus : expiratory fall in BP is seen in- Hypertrophic obstructive cardiomyopathy- Intermittent positive pressure ventilation- Isometric ventricular rhythm